True about osteoporosis
1. Normal serum calcium levels
2. Normal serum phosphate levels
3. Normal serum alkaline phosphatase level
4. All of the above

Correct answer: 4. All of the above